Which of the following increases appetite ?
1. Insulin
2. Leptin
3. a-MSH
4. Neuropeptide Y

Correct answer: 4. Neuropeptide Y

Explanation: Ans. is 'd' i.e., Neuropeptide Y